Supernumerary teeth common location -
1. Upper incisor
2. Canine
3. Molar
4. Lower incisor

Correct answer: 1. Upper incisor

Explanation: Supernumerary teeth are those which are additional or in excess of the normal number. The most common site is upper incisor. Ref: K.S.Narayan Reddy's synopsis of Forensic Medicine and Toxicology 29 th edition Chapter 4,page- 59.